Bradycardia occurs in all the following except:
1. Hyperthyroidism
2. Increased intracranial pressure
3. Myxoedema
4. Normal sleep

Correct answer: 1. Hyperthyroidism